Antibiotics should be given when with surgery for prophylaxis -
1. 1 hour before
2. 1 hour after
3. 2 hours before
4. 2 hours after

Correct answer: 1. 1 hour before

Explanation: Ans. is 'a' i.e., 1 hour before Intravenous administration at Induction of Anesthesia is optimal